Eltrombopag is a:
1. Thrombopoietin agonist
2. Thrombopoietin antagonist
3. Erythropoietin agonist
4. Erythropoietin antagonist

Correct answer: 1. Thrombopoietin agonist

Explanation: Eltrombopag is a oral thrombopoetin agonist, it increases the no. of platelets. So, it is approved for Idiopathic Thrombocytopenic Purpura(ITP). Some other such drugs are approved like: Lusutrombopag is used for patients having liver disease. Romilostim is intravenous thrombopoetin agonist. Erythropoetin agonist is Darbopoetin used in chronic renal faiure induced anemia and bone marrow suppresson induced anemia.